Best and least toxic treatment for amoebic dysentery is:
1. Emetine
2. Chloroquine
3. Metronidazole
4. Diloxanide furoate

Correct answer: 3. Metronidazole

Explanation: Ans: cRef: Harrison, 16thed, p. 1215